In Mckern and Stewart maturation score of skeletal age, which of the following epiphyseal union is not used?
1. Humerus - Proximal end
2. Radius - Proximal end
3. Femur - Distal end
4. Iliac crest

Correct answer: 2. Radius - Proximal end

Explanation: Mckern and Stewart maturation score of skeletal age Humerus - Proximal end and medial epicondyle Radius - Distal end Femur - Head and Distal end Iliac crest. Sacrum--Lateral portion and 3,4th segments. The scoring is given based on the degree of epiphyseal union that is: